All take place in mitochondria except
1. Fatty acid oxidation
2. EMP pathway
3. Electron transport chain
4. Citric acid cycle

Correct answer: 2. EMP pathway

Explanation: Ans. is 'b' i.e. EMP pathway Embedem Meyerhof Parnas (EMP) pathway or glycolysis occurs in cytosolFor rest see above question